Low molecular weight heparin acts on -
1. XIa
2. Xa
3. IXa
4. Ila

Correct answer: 2. Xa

Explanation: Ans. is 'b' i.e., Xa Mechanism of Action of Heparin